One of the following is considered as best imaging
modality for detecting sequestra in osteomyelitis
1. Radionuclide imaging
2. Tomography
3. MRI
4. Computed tomography

Correct answer: 4. Computed tomography